The tributaries of the inferior vena cava include all of the following, EXCEPT?
1. Left renal vein
2. Left gonadal vein
3. Hepatic vein
4. Right suprarenal vein

Correct answer: 2. Left gonadal vein

Explanation: Left adrenal vein and gonadal vein drain into left renal vein. The left renal vein is single and preaortic in 80% individuals. Right adrenal vein drains into drains directly into the inferior vena cava just superior to the right vein insertion. The tributaries of Inferior vena cava are:Two anterior visceral tributaries: the hepatic veinsThree lateral visceral tributaries: Right suprarenal vein, renal veins, right testicular or ovarian veinFive lateral abdominal wall tributaries: Inferior phrenic vein, four lumbar veinsThree tributaries of origin: two common iliac veins and median sacral vein.